Trotter's triad consists of the following, except:
1. Conduction deafness
2. Trigeminal neuralgia
3. VII nerve palsy
4. Ipsilateral soft palate immobility

Correct answer: 3. VII nerve palsy

Explanation: Trotter's triad is diagnostic for nasopharyngeal carcinoma. It consists of Unilateral conductive hearing loss (secretory otitis media). Ipsilateral earache and facial pain (trigeminal nerve). Ipsilateral paralysis of the soft palate. VII nerve palsy is not seen in totter's triad.